Definition of nuclear medicine includes which of the following?
1. Field of medicine helpful for radiotherapeutic management of all.
2. Field of medicine, which provides both physiological, & structrual information in non-quantifiable form.
3. Field of medicine helpful for location & extent of cancer but with many hazards.
4. Field of medicine which depends on accretion, transit & disappearance of radioactive tracer in specific regions of body & useful in management of cancer.

Correct answer: 4. Field of medicine which depends on accretion, transit & disappearance of radioactive tracer in specific regions of body & useful in management of cancer.

Explanation: Ans. d (Field of medicine which depends on accretion, transit & disappearance of radioactive tracer in specific regions of body & useful in management of cancer). (Ref. Modem Trends in Radiotherapy by Deeley, 216)# Nuclear medicine is the field of medicine which depends on accretion, transit & disappearance of radioactive tracer in specific regions of body & hence useful in management of cancer.# It provides both physiological and structural information in a quantifiable form.# It is helpful for location and extent of cancer without much hazards & discomfort to patient.